The product, which is obtained by calcining gypsum under steam pressure at 120-130°C or by dehydrating gypsum in the presence of sodium succinate, is
1. Alpha - hemihydrates
2. Beta - hemihydrates
3. Calcium sulphate dihydrate
4. Orthorhombic anhydrate

Correct answer: 1. Alpha - hemihydrates